All of the following are pneumatic bones EXCEPT:
1. Maxilla
2. Frontal
3. Mandible
4. Ethmoid

Correct answer: 3. Mandible

Explanation: Ans. C MandibleRef: Gray's, 38th ed. pg. 431* Pneumatic Bone: Some cranial bones have air filled cavities for making skull light weight, resonance of voice & air conditioning.* Maxilla, Mastoid, Ethmoid, Sphenoid & Frontal bones are pneumatic bones.Types of boneSesamoid bonesPneumatic bone(Mn: It has Maximum Spherical Front Mass)Membranous (Dermal) bone* Patella* Pisiform* Fabella* Ethmoid* Maxilla* Sphenoid* Frontal* Mastoid (temporal)* Skull vault bones* Facial bones